Which of the following is prototype example for multipennate muscle?
1. Biceps
2. Brachioradialis
3. Deltoid
4. Palmaris brevis

Correct answer: 3. Deltoid

Explanation: Multipennate muscles have multiple rows of diagonal fibres, with a central tendon which branches into two or more tendons. An example is the Deltoid muscle which has three sections, anterior, posterior and middle. Ref - medscape.com